QT prolongation is seen in all, EXCEPT-
1. Hypothermia
2. Digitalis toxicity
3. Hypocalcemia
4. Romano wand syndrome

Correct answer: 2. Digitalis toxicity

Explanation: Ans. is 'b' i.e Digitalis * QT interval is shortened in digitalis toxicity